Non-pathogenic amoebae is/are -a) E. histolyticab) E.coli.c) Acanthamoebad) E.Hartmannie) Balamuthia
1. c
2. d
3. ab
4. bd

Correct answer: 4. bd

Explanation: Non-pathogenic amebae are E.hartmanni, E.coli, E.polecki, Endolimax nana, Iodamoeba botschlii, and Dientamoeba fragilis.